Which of the organisms most commonly causes reactive arthritis?
1. Ureaplasma urealyticum
2. Group A beta hemolytic streptococci
3. Borrelia burggorferi
4. Chlamydia

Correct answer: 4. Chlamydia

Explanation: Answer is D (Chlamydia): Amongst the options provided Chlamydia is the most commonly implicated agent in Reactive arthritis. `Chlamydia Trachomatis is by far the most common cause of urethritis and of reactive arthritis following urethritis.